Which is not ketogenic?
1. Leucine
2. Lysine
3. Methionine
4. Tryptophan

Correct answer: 3. Methionine

Explanation: Methionine is purely glucogenic leucine is purely ketogenic others are both ketogenic & glucogenicRef: DM Vasudevan - Textbook of Biochemistry, 7th edition, page no: 27